Which is a not an essential criteria according to WHO for normal semen analysis?
1. Sperm count >15 million/mL
2. Volume >1 mL
3. Sperm with normal morphology (strict criteria) >4%
4. Motility >32% with rapidly progressive motility

Correct answer: 2. Volume >1 mL

Explanation: Ans. is b, i.e. Volume >1mLRef: Novak 14th/ed, p 1193; 15th/ed, p 1141; Leon Speroff 7th/ed, p1144Normal seminal fluid analysis:Semen analysis - WHOParameter2010 GuidelinesVolume>1.5mLSperm concentration>15million/mLSperm motility>32% progressive or >25% rapidly progressiveMorphology (Strict Criteria) WBC>4% normal formsImmunobead or mixed anti globulin reaction test<1million/mL<50%